Immunoglobulin inactive by heating and elevated in helminthic infections:
1. IgA
2. IgG
3. IgE
4. IgM

Correct answer: 3. IgE

Explanation: Ans. is 'c' i.e., IgE(Ref: Harrison, 18th/e, p. 2674)* It is only Ig which is heat labile (inactivated at 56degC for one hour), daily production is minimum and has shortest half-life.